Which one of the following is not a greenhouse gas?
1. Carbon monoxide
2. Methane
3. Nitrous oxide
4. Water vapour

Correct answer: 1. Carbon monoxide

Explanation: Green house gases Water vapour (Highest contribution) Carbon dioxide (second highest contribution) Methane Ozone: Ozone later is beneficial as it cuts down IV transmission CFC's depletes ozone layer Ref : Wikipedia